X-ray finding more suggestive of ulcerative colitis than Crohn's disease:
1. Rectal sparing
2. Loss of haustrations
3. Tracking of contrast within the bowel wall
4. Discontinuous lesions

Correct answer: 2. Loss of haustrations

Explanation: Ans. (b) Loss of haustrationsRef: Sabiston 20th edition, Page 1342* Lead pipe appearance: Loss of haustrations* Rectal sparing is a feature of Crohn's* Skip lesions are also seen in Crohn's.